Sacrotuberous ligament not pierced by:
1. Coccygeal plexus
2. Inferior gluteal artery
3. Perforating cutaneous nerve
4. Internal pudendal artery

Correct answer: 4. Internal pudendal artery

Explanation: Ans. d. Internal pudendal arterySacrotuberous ligament not pierced byCoccygeal branch of inferior gluteal arteryFilaments of coccygeal plexusPerforating cutaneous nerveInternal pudendal artery is a branch from the anterior division of internal iliac artery.It leaves the pelvis by way of the greater sciatic foramen between the Piriformis and coccygeus and immediately enters the perineum through the lesser sciatic foramen by hooking around the Ischial spine, accompanied by the pudendal nerve during its course.It passes along the lateral wall of the ischiorectal fossa in the pudendal canal.